Opioid induced constipation is treated by
1. Loperamide
2. Biperiden
3. Alvimopan
4. Naltrexone

Correct answer: 3. Alvimopan

Explanation: Alvimopan, Naloxegal & Methyl naltrexone are peripherally acting opioid antagonists used to treat opioid induced constipation & paralytic ileus.